Which of the following condition does show 'the third window effect' clinically?
1. Perforated tympanum
2. Dehiscent superior semicircular canal
3. Round window anomaly
4. Oval window anomaly

Correct answer: 2. Dehiscent superior semicircular canal

Explanation: The auditory and vestibular symptoms of dehiscent superior semicircular canal are due to exposure to external pressure along the dehiscent superior canal that is transmitted to the inner ear. The dehiscent portion of the superior canal acts as a third mobile window allowing acoustic energy to be dissipated there.